Protein content of <4mg/ml is seen in
1. Dentigerous
2. Periapical
3. Keratocyst
4. Periodontal cyst

Correct answer: 3. Keratocyst